Middle deft upper lip due to failure of fusion b/w
1. Maxillary process
2. Medial naral process
3. Medial and lateral naral process
4. Medial naral process and maxillary process

Correct answer: 2. Medial naral process

Explanation: Defect
Caused by


Cleft upper lip
Failure of fusion between maxillary process and medial naral process


Medial deft upper lip
Failure of fusion between maxillay process and medial and lateral naral process


Oblique facial deft
Failure of fusion between maxillary process and medial lateral naral process


Lower lip deft
Failure of fusion of two mandibular process